Cluster testing is useful in detecting cases of:
1. STD
2. Cancer
3. Diabetes
4. Measles

Correct answer: 1. STD

Explanation: STD